Conn syndrome is seen due to increased production of
1. Cortisol
2. ACTH
3. CRH
4. Aldosterone

Correct answer: 4. Aldosterone

Explanation: An adrenocortical disorder caused by excessive secretion of aldosterone. ; primary aldosteronismPrimary aldosteronism is an adrenocortical disorder caused by excessive secretion of aldosterone and characterized by headaches, nocturia, polyuria, fatigue, hypertension, potassium depletion, hypokalemic alkalosis, hypervolemia, and decreased plasma renin activity; may be associated with small benign adrenocortical adenomas.Ref: Ganong's review of medical physiology; 24th edition; page no:-364